Type III reaction is:
1. Antibody mediated
2. Immune complex mediated
3. Cell mediated
4. None

Correct answer: 2. Immune complex mediated

Explanation: Ans. is 'b' i.e., Immune complex mediated(Ref: Ananthanarayan, 9th/e, p. t621)* Type III reactions differ from type II reactions because its antigens are not attached to the surface of the cell.* Immune complex mediated (Ag - Ab mediated) - deposited in tissue.* Usually complement bound to complex - so serum level falls.* Neutrophil attracted and release enzymes.